Pseudohypoparathyroidism is characterized by:
1. Normal serum Ca++ and decreased serum PTH
2. Decreased serum Ca++ and decreased serum PTH
3. Decreased serum Ca++ and Increased serum PTH
4. Normal serum Ca++ and Increased serum PTH

Correct answer: 3. Decreased serum Ca++ and Increased serum PTH

Explanation: c. Decreased serum Ca++ and Increased serum PTH(Ref: Nelson's 20/e p 2695-2697, Ghai 8/e p 521-524)Pseudohypoparathyroidism (PHP)Parathyroid glands are normal or hyperplastic and they can synthesize and secrete parathyroid hormone (PTH)Serum levels of immunoreactive PTH are elevated even when the patient is hypocalcemic normocalcemicNeither endogenous nor administered PTH raises the serum levels of calcium or lowers the levels of phosphorus.